Least A-V O2 difference is seen in ?
1. Hypoxic hypoxia
2. Anemic hypoxia
3. Stagnant hypoxia
4. Cyanide poisoning

Correct answer: 4. Cyanide poisoning

Explanation: Ans. is 'd' i.e., Cyanide poisoning